Pelvic abscess presents as
1. Pain in perineum
2. Mucoid diarrhea
3. Distension
4. Vomiting

Correct answer: 2. Mucoid diarrhea

Explanation: Pelvic abscess is the most common intraperitoneal abscess(50-60%). It is the collection of pus in rectovesical or rectouterine pouch(pouch of Douglas). Causes include: appendicitis, pelvic infections, sequelae of diffuse peritonitis, post operative and other causes(Bacteria : Bacteroides fragilis, E.coli, anaerobic streptococci ). It presents as diarrhoea and passage of mucus in stools, high temperature with chills and rigors, lower abdominal pain and distension, frequency and burning micturition. Reference : page 574 SRB's manual of surgery 5th edition